Levinthal Coles Lillie bodies are seen in -
1. LGV
2. Psittacosis
3. KalaAzar
4. Chicken pox

Correct answer: 2. Psittacosis

Explanation: Ans. is 'b' i.e., Psittacosis * In psittacosis infected cells, including alveolar macrophages from patients, and mouse brain, yolk sac and cell cultures shows inclusion bodies - Levinthal - Cole - Lillie (LCL) bodies.